Punishment for a person seeking prenatal diagnostic facilities for purpose of sex selection is
1. 1 year imprisonment and fine Rs.10000
2. 3 - 5 years imprisonment and fine Rs.50000 - 1 lakh
3. 1 year imprisonment and fine Rs.50000 - 1 lakh
4. 3 year imprisonment and fine Rs.10000

Correct answer: 2. 3 - 5 years imprisonment and fine Rs.50000 - 1 lakh

Explanation: Section 23(3) PCPNDT ACT (Pre-Conception and Pre-Natal Diagnostic Techniques (PCPNDT)Act, 1994) Punishment for a person seeking prenatal diagnostic facilities for purpose of sex selection is 3 - 5 years imprisonment and fine Rs.50000 - 1 lakh